A non-sysmmetrical frequency distribution is known as -
1. Normal distribution
2. Skewed distribution
3. Cumulative frequency distribution
4. None of the above

Correct answer: 2. Skewed distribution